Administration of betamethasone during delivery causes all, EXCEPT :
1. Decrease neonatal mortality
2. Decrease incidence of ARDS
3. Decrease incidence of intraventricular haemorrhage
4. Decrease incidence of hyperbilirubinemia

Correct answer: 4. Decrease incidence of hyperbilirubinemia

Explanation: Ans. is 'd' Decrease incidence of hyperbilirubinemia (Ref. : O.P. Ghai, 5/e, p. 146).Benefit of prenatal corticosteroids in Preterm labourReduction in incidence of respiratory distress syndrome (50%).Reduced incidence of intraventricular hemorrhage (50%).Reduction in mortality (40%).Indications of prenatal corticosteroidsAll mothers at risk of pre-term delivery between 24-34 wks of gestation.Cases of preterm premature rupture of membrane at less than 32 wks gestation.Contraindications of prenatal corticosteroidsChorioamnionitis.